Bisphosphonates are used in all EXPECT:
1. Paget's disease
2. Vitamin D excess
3. Postmenopausal osteoporosis
4. Hypercalcemia of malignancy

Correct answer: 2. Vitamin D excess

Explanation: Ans. (B) Vitamin D excess(Ref: Katzung 10/e p713; KDT 6/e p334; KDT 8/e p370)BISPHOSPHONATES are used for the treatment of post menopausal osteoporosis, steroid induced osteoporosis, Paget's disease and hypercalcemia of malignancy (pamidronate and zoledronate by i.v route are preferred).